A patient complains of intermittent dysphagia, which is equal for both solids and liquids, which is the most common cause:
1. Achalasia
2. Esophageal Stricture
3. DES
4. Carcinoma

Correct answer: 3. DES

Explanation: Ans. (c) DESRef: Bailey and Love 27h edition, Page 1099Diffuse Esophageal Spasm:* Intermittent dysphagia with chest pain is a symptom of Diffuse Esophageal spasm.* Slow progressive dysphagia is seen in achalasia for both solids and liquids but more for liquids.Other causes of intermittent dysphagia:* Zenker diverticulum* Schatzki ring* Esophagitis